Suicidal enzyme is -
1. C ycl oxygen ase
2. Lipoox ygen se
3. Dehydrogenase
4. Pyruvate kinase

Correct answer: 1. C ycl oxygen ase

Explanation: Ans. is 'a' i.e., Cycloxygenase